The common peroneal nerve can be rolled against the following part of the fibula
1. Styloid process
2. Head
3. Neck
4. Shaft

Correct answer: 3. Neck

Explanation: COMMON PERONEAL NERVE:- Smaller terminal branch of sciatic nerve.Root value: dorsal division of ventral rami of L4,L5,S1,S2.Beginning: begins in back of thigh as a smaller subdivision of the sciatic nerve. Course:lies in upper lateral part of popliteal fossa. It turns around the lateral surface of the fibula. Then it lies in the substance of peroneus longus muscle.Terminates by dividing into two terminal branches- superficial and deep peroneal. Commonest nerve to be paralysed.Causes of injury:1. Fracture neck of fibula.2. Lathi injury on lateral side of knee joint.3. Due to plaster on leg.- nerve get compressed between hard plaster and neck of fibula.To prevent this cotton must be placed on the upper lateral side of the leg. {Reference: BDC 6E}